Which one of the following is the most sensitive and specific screening test to detect Breast cancer:
1. Regular X-ray
2. Self breast examination
3. Mammography
4. Regular biopsy

Correct answer: 3. Mammography

Explanation: Ans: cRef: Park, 17th ed, p. 290 & 18th ed, p. 307